CT of subdural hematoma will show:
1. Biconvex hyperdense opacity
2. Biconcave hyperdense opacity
3. Concavoconvex opacity
4. Hyperdense diffuse lesion

Correct answer: 3. Concavoconvex opacity

Explanation: Ans. Concavoconvex opacity